Diencephalic pupils are due to damage to?
1. Superior colliculus
2. Lateral geniculate body
3. Optic pathway
4. Hypothalamus

Correct answer: 4. Hypothalamus

Explanation: Diencephalic pupils are a result of bilateral hemispheric dysfunction and are small. Damage occurs at the hypothalamus and will lead to damage to the origin of sympathetic fibers which will lead to small but reactive pupils. -Mid-position (4-7mm) non-reactive pupils are a result from direct midbrain (tectal region) damage.